True about end plate potential (EPP) is:-
1. It occurs as a result of altered permeability for Na+ and K+
2. It is a self-regenerative change
3. It results from release of a single transmitter vesicle
4. It exhibits all-or-none property

Correct answer: 1. It occurs as a result of altered permeability for Na+ and K+

Explanation: Non-specific cation channel (same channels allow Na+ to come in & same channel allows K+ to go out) are acetylcholine-gated channels which opens and causes the electrical potential inside the fiber at the local area of the end plate to increase in the positive direction as much as 50 to 75 millivolts, creating a local potential called the end plate potential. EPP is a graded response. It doesn't obey all or none property. Its amplitude decreases over distance and it can be summated. EPP develops converts into one AP. This action potential then travels.